You have diagnosed a Patient clinically as having SLE and ordered 6 tests out of which 4 tests have come positive and 2 are negative. Which of the following values are required to determine the probability of SLE at this point?
1. Incidence of SLE and the predictive value of each test
2. Prior probability of SLE, sensitivity and specificity of each test
3. Relative risk of SLE in the patient
4. Incidence and prevalence of SLE

Correct answer: 2. Prior probability of SLE, sensitivity and specificity of each test

Explanation: In this point where the diagnosis of SLE has to be determined, the application of Baye's theorem will come to aid. According to this theorem, by assessing the post-test probability of each test that has been done on this patient, the probability of SLE can be known. In return, the post-test probability is calculated by the following three parameters: i. Prior probability of SLE ii. Sensitivity of each test done iii. Specificity of each test done Ref: Park's Texbook of Preventive and Social Medicine 19th Edition; Pages 705; 119 - 122; Biomedical Informatics: Computer Applications in Health Care And Biomedicine By Edward Hance Shortliffe; 3rd Edition; Pages 99 - 100; Harrisons Textbook of Internal Medicine 16th Edition; Pages 09; The Cleveland Clinic Cardiology Board Review By Brian P. Griffin, Curtis M. Rimmerman, Eric J. Topol; 2007 Edition; Page 44